NOT true statement regarding Urinary bladder among the following is
1. lnterureteric ridge is also known as Bar of Mercier
2. Muscularis mucosa is absent in Trigone making it smooth
3. Trigonal muscle forms Urethral Crest
4. Uvula vesicae in formed by Median lobe of prostate

Correct answer: 2. Muscularis mucosa is absent in Trigone making it smooth

Explanation: Submucosa is absent in Trigone making it smooth.